Kenny Packs were used in the treatment of-
1. Poliomyelitis
2. Muscular dystrophy
3. Polyneuropathies
4. Nerve injury

Correct answer: 1. Poliomyelitis

Explanation: Ans. is 'a' i.e., Poliomyelitis Treatment of poliomyelitis o There is no specific treatment Management is primary symptomatic and supportive. 1. Bed rest --> Because physical activity and trauma increase the risk of paralysis. 2. Relief of pain and muscle spasm --> Hot moist packs applied to the muscles relieve pain and spasm (sister kenny's treatment). 3. Optimum position of limbs --> To prevent deformity. 4. Physiotherapy 5. Good nursing 6. Rehabilitation Physical, emotional and phychological.